Most common affected by Blunt trauma abdomen?
1. Spleen
2. Intestine
3. Liver
4. Mesentery

Correct answer: 1. Spleen

Explanation: Ans. (a) SpleenRef: Bailey & Love 26th ed./1087* The spleen is the most commonly injured viscus in blunt abdominal trauma and can result from the most trivial of traumas.* The classical presentation is that of a hemodynamically unstable patient with a history of trauma, with severe abdominal pain and signs of peritonitis.* The classic physical'findings of splenic rupture are left shoulder pain, left upper quadrant pain and tenderness, and Kehrs sign (left shoulder pain from irritation of inferior border of left diaphragm by hematoma).* Absence of one or more or even all of these signs does not rule out splenic injury. Diagnosis is based on a thorough physical examination and confirmed with the FAST examination